Which is not true about Langenbeck Kocher operation?
1. Adequate exposal of posterior segment
2. Anterior segment is not visualized adequately
3. Superior exposure is very well exposed
4. Sciatic nerve injury in 10% in cases

Correct answer: 3. Superior exposure is very well exposed

Explanation: (c) Superior exposure is very well exposed- Please observe this question is not the same as previous as Kocher-Langenbeck approach is not a good approach for superior segment as its visualization is limited hence D option will be considered acceptable as nerve injuries in earlier studies were more than 6% as compared to now.